A case presenting with a gray coloured pseudomembrane
whose removal is difficult and painful, can be
1. ANUG
2. Diphtheritic lesion
3. Secondary stage of syphilis
4. Desquamative gingivitis

Correct answer: 2. Diphtheritic lesion